Breast CA with best prognosis
1. Mucinous
2. Medullary
3. Invasive ductal
4. Lobular Ca

Correct answer: 1. Mucinous

Explanation: Ans. (a) Mucinous(Ref: Robbins 9th/pg 1064-65)*Histological type: Invasive ductal carcinoma (no special type; NST) carries poor prognosis.*Tubular, mucinous, lobular, papillary, adenoid cystic has better prognosis#Metaplastic carcinoma or micro-papillary carcinoma have a poorer prognosis QRemember mucinous > lobular